Which of the following transports nitrogen from muscle to liver?
1. Lactate
2. Alanine
3. Glutamine
4. Aspertate

Correct answer: 2. Alanine

Explanation: Glucogenic amino acids i. Glucogenic amino acids are shown in Figure 9.27. (Alanine, glutamic acid, aspartic acid, etc). ii. When glucose is not readily available (starvation or diabetes mellitus), the glucogenic amino acids are transaminated to corresponding carbon skeletons. (Fig. 9.27). These then enter the TCA cycle and form oxaloacetate or pyruvate. iii. Alanine released from the muscle is the major substrate for gluconeogenesis (Fig. 9.29). Fig. 9.33. Hormonal regulation of gluconeogenesis i. Alanine is transported to liver, transaminated to pyruvate and converted to glucose. This glucose may again enter the glycolytic pathway to form pyruvate, which in turn, can be transaminated to alanine. ii. Glucose-alanine cycle is important in conditions of starvation (Fig. 9.30). Thus net transfer of amino acid (nitrogen) from muscle to liver and corresponding transfer of glucose (energy) from liver to muscle is effected. iii. Alanine cycle is intimately related with Cori's cycleRef: DM Vasudevan - Textbook of Biochemistry, 6th edition, page no: 105